Sickling in 'Hbs' disease is primaily caused by
1. Decreased Solubility
2. Decreased Stability
3. Altered function
4. Altered O2 binding capacity

Correct answer: 1. Decreased Solubility

Explanation: The primary pathophysiological event in sickling is intracellular polymerization of deoxy-HbS due to its markedly reduced solubility.